Human Development Index includes following except
1. Infant mortality
2. Longevity
3. Income
4. Knowledge

Correct answer: 1. Infant mortality

Explanation: Ans. a (Infant mortality) (Ref Text book of PSM by Park 22nd/16)# HUMAN DEVELOPMENT INDEX (HDI) INCLUDES:- Knowledge (adult literacy rate and mean years of schooling)- Longevity (life expectancy at birth), and- Income (Per capita GDP).# India - HDI is 0.619 (Medium) (128th rank) (2007)QPQLI includes:- Infant mortality, Life expectancy at age one, and Literacy.